Haemorrhagic pericarditis occurs in all of the following conditions except.-
1. Transmural myocardial infarction.
2. Dissecting aneurysm of aorta.
3. Metastatic disease of pericardium.
4. Constrictive pericarditis.

Correct answer: 4. Constrictive pericarditis.